Which NSAIDs undergoes enterohepatic circulation
1. Phenylbutazone
2. Aspirin
3. Ibuprofen
4. Piroxicam

Correct answer: 4. Piroxicam

Explanation: Piroxicam is a long acting analgesic due to enterohepatic circulation. single daily dose is usually sufficient. Refer kDT 6/e p194